Which of the following is an autosomal recessive condition
1. A. Ataxia telangectasia
2. B. Peutz jiggers syndrome
3. C. Neurofibromatosis
4. D. Tuberous sclerosis

Correct answer: 1. A. Ataxia telangectasia

Explanation: Ataxia telangectasia is an autosomal recessive condition Patients have increased sensitivity to x rays induced chromosome abnormalities Characterized by an ataxic dyskinetic syndrome beginning in early childhood ,caused by neural degeneration predominantly in the cerebellum, the subsequent development of telangectasia in the conjunctiva and skin and immunodeficiency The lymph nodes ,thymus, and gonads are hypopladtic Clinical features recurrent spinopulmonary infection and unsteadiness in walking Incteased risk development of lymphoid development of lymphoid malignant disrase. Refer ribbons 8/e p302